Which of the following is associated with 'spalding sign'?
1. Drowning
2. Starvation
3. Maceration
4. Mummification

Correct answer: 3. Maceration

Explanation: Spalding sign is a radiological sign depicting the loss of alignment and overriding of the bones of the cranial vault, which occur due to the shrinkage of the cerebrum following the death of the fetus. The sign appears early if the fetus has a vertex rather than a breech presentation. This sign is seen in Maceration. Ref: The Essentials of Forensic Medicine And Toxicology by Dr. K. S. Narayan Reddy 27th edition; Pages 151;323; 382-3.